A COPD patient was having pedal oedema for which thiazides were prescribed. Since he was complaining of excessive sleepiness an ABG sample was taken. Report is pH= 7.42, pCO2= 67 mmHg and HCO3 = 42mEq with Na =140 mEq, K = 3.0, CL- =88 mEq. What is the diagnosis?
1. Metabolic alkalosis with respiratory acidosis
2. Metabolic alkalosis with compensatory respiratory alkalosis
3. Metabolic alkalosis with metabolic acidosis
4. High anion gap metabolic acidosis with paradoxical aciduria

Correct answer: 1. Metabolic alkalosis with respiratory acidosis

Explanation: pCO2 - || 67 mmHg (N = 40 mmHg) Every 10 mm | pCO2= | HCO3- 1 meq 27mm |pCO2 = |HCO3- 2.7 meq CO2 retention : Respiratory acidosis Thiazides leads to dehydration which | GFR - | aldosterone- hypokalemic alkalosis.